Which of the following age group comprises the young age dependant population?
1. <10 years
2. <12 years
3. < 15 years
4. < 18 years

Correct answer: 3. < 15 years

Explanation: Children below 15 years and elderly above 65 years comprise the dependent population. Young age dependency is children below 15 years and old age dependency is above 65 years. Ref: Park 21st edition, page 447.